Potato tumor due to -
1. Hypotrophy of sebaceous glands of nose
2. Hypertrophy of sebaceous glands of nose
3. Hypotrophy of sweat glands of nose
4. Hpertrophv of sweat glands of noses

Correct answer: 2. Hypertrophy of sebaceous glands of nose

Explanation: Ans. is 'b' i.e., Hypertrophy of sebaceous glands of the noseRhinophyma (Potato tumor )o Rhinophyma is large, bulb-shaped, red-colored (ruddy) nose. It is a slow-growing benign tumor due to hypertrophy of the sebaceous glands. The cause of rhinophyma is unknown, though it is thought to be a severe form of acne rosacea. Rhinophyma was once thought to be caused by heavy alcohol consumption, but this is not the case. Rhinophyma occurs equally in those who do not drink at all and those who drink large quantities of alcohol. It mostly affects men past middle age. The pink color of the tumor is due to engorgement of superficial vessels.Treatmento Surgery to reshape the nose is the best-known treatment for rhinophyma. Surgery may be done with a laser (carbon dioxide laser), scalpel (sharp knife) or a rotating brush (dermabrasion) and the area is allowed to re-epithelialize. Sometimes, tumor is completely excised and the raw area is skin-grafted.